The differentiation of the Gonad into Male is dependent on:
1. Presence of SRY gene
2. Lack of SRY gene
3. Presence of AMH
4. Presence of Testosterones

Correct answer: 1. Presence of SRY gene